In CPR drug of choice is –
1. NaHCO3
2. Isoprenaline
3. Propranolol
4. Adrenaline

Correct answer: 4. Adrenaline

Explanation: Adrenaline is the drug of choice in CPR.